Which of the following is a sonographic finding of a fetus with Down's syndrome?
1. 'Sandal gap'
2. Mild renal pelvis dilation
3. Nasal bone absence
4. All of the above

Correct answer: 4. All of the above

Explanation: Second-trimester sonographic markers or "soft signs" associated with Down syndrome fetuses: Nuchal fold thickening Nasal bone absence or hypoplasia Shortened frontal lobe or brachycephaly Short ear length Echogenic intracardiac focus Echogenic bowel Mild renal pelvis dilation Widened iliac angle Widened gap between first and second toes--"sandal gap" Clinodactyly, hypoplastic mid-phalanx of fifth digit Short femur Short humerus Ref: Cunningham F.G., Leveno K.J., Bloom S.L., Hauth J.C., Rouse D.J., Spong C.Y. (2010). Chapter 13. Prenatal Diagnosis and Fetal Therapy. In F.G. Cunningham, K.J. Leveno, S.L. Bloom, J.C. Hauth, D.J. Rouse, C.Y. Spong (Eds), Williams Obstetrics, 23e